True about epidermoid cysta) Punctum is presentb) Keratin is presentc) Sebaceous material presentd) Autosomal inheritancee) May turn malignant
1. abc
2. bcd
3. abe
4. acd

Correct answer: 3. abe

Explanation: Epidermoid cyst (also k/a sebaceous cyst, epidermal cyst) Epidermoid cysts are most common cutaneous cysts.

Epidermoid cyst results from proliferation of epidermal cells within a circumscribed space of dennis (which had got implanted within the dermis due to a variety of reasons)
Sebaceous cyst is a misnomer as the cysts are not of sebaceous origin and the white, creamy material filled within them is not sebum but is keratin (desquamated epithelial cells)
The walls of these cysts consist of a layer of epidermis oriented with the basal layer superficial and the more mature layers deep (i.e. the epidermis grows into the centre of the cyst). The desquamated cells (keratin) collect in the centre and form the creamy substance of the cyst.
Epidermoid cysts usually are asymptomatic unless they get infected or inflamed and become painful
They appear as firm, round, flesh coloured to yellow or white subcutaneous nodules of variable size. A central pore or punctum is an inconsistent finding that may tether the cyst to the overlying epidermis and from which the white creamy material can be expressed.
Rarely malignancies (basal cell carcinoma, squamous cell ca) can develop in epidermoid cysts.


Treatment

incision and drainage is recommended for an acutely infected cyst.
after resolution of the abscess the cyst wall must be excised to prevent recurrence.